Loud pulmonary component of second heart sound heard in  a) Pulmonary hypertension  b) TOF  c) Eissenmenger's syndrome  d) Pulmonary stenosis  e) AS
1. ac
2. bc
3. cd
4. bd

Correct answer: 1. ac